Secondary amyloidosis occurs in ?
1. Chronic osteomyelitis
2. Rheumatoid arthritis
3. Leprosy
4. All

Correct answer: 4. All

Explanation: Ans. Three options are correct i.e., 'a, b & c'